Radiological features of left ventricular heart failure are all, except -
1. Kerly B lines
2. Cardiomegaly
3. Oligemic lung fields
4. Increased flow in upper lobe veins

Correct answer: 3. Oligemic lung fields